Endocrine functions associated with kidney include all of the following except
1. Erythropoietin secretion
2. Natriuretic peptide secretion
3. 1,25 hydroxy D3 Formation
4. Renin secretion

Correct answer: 2. Natriuretic peptide secretion

Explanation: The existence of various natriuretic hormones has been postulated for some time. Two of these are secreted by the heart. The first natriuretic hormone isolated from the heart was atrial natriuretic peptide (ANP), a polypeptide with a characteristic 17-amino-acid ring formed by a disulfide bond between two cysteines. A second natriuretic polypeptide was isolated from porcine brain and named brain natriuretic peptide (BNP; also known as B-type natriuretic peptide). It is also present in the brain in humans, but more is present in the human heart, including the ventricles. Ref: Ganong's review of medical physiology,23rd edition, page: 674